PNH is associated with all of the following condition,except -
1. Aplastic anemia
2. ↑ed LAP scores
3. Venous thrombosis
4. Iron deficiency anemia

Correct answer: 2. ↑ed LAP scores